Which of the following is false with regards to propofol
1. i.v agent of choice for daycare surgery
2. Rapid metabolism
3. Longer half life
4. Contains egg lecithin and glycerol

Correct answer: 3. Longer half life

Explanation: Propofol has shorter half life, so is the anaesthetic agent of choice for induction.